RNA polymerase is -
1. DNA dependent RNA polymerase
2. RNA dependent DNA polymerase
3. DNA dependent DNA polymerase
4. RNA dependent RNA polymerase

Correct answer: 1. DNA dependent RNA polymerase

Explanation: Ans. is 'a' i.e., DNA dependent RNA polymerase o The major enzyme involved in transcription (i.e. synthesis of DNA to RNA) is RNA polymerase, o It is DNA dependent RNA polymerase.o DNA dependent DNA polymerase - DNA plymerase (In DNA replication)o DNA dependent RNA polymerase - RNA polymerase (In transcription)o RNA dependent DNA polymerase - Reverse transcripatase (In reverse transcription)